Infra uterine copper T 200 is called copper 200 because :
1. Cotain 200 mgs of copper
2. Has 200 sq. mm. of copper
3. Has 200 copper turns
4. Can be retained for 200 days

Correct answer: 2. Has 200 sq. mm. of copper

Explanation: Has 200 sq. mm. of copper